The first epiphyseal centre appears in:
1. Femur
2. Cuboid
3. Ossicles
4. Clavicle

Correct answer: 1. Femur

Explanation: a. Femur(Ref: Nelson's 20/e p 3241)First epiphyseal centre to appear are:The calcaneal and talar ossification centers & the distal femoral & proximal tibial epiphyseal ossification centers are found at the level of the knee.